Staphalococcus Oxacillin resistance is best detected by?
1. Cefotixin MIC
2. Cefotixin disc diffusion
3. Oxacillin disc diffusion
4. Oxacillin agar

Correct answer: 2. Cefotixin disc diffusion

Explanation: Ans. is 'b' i.e., Cefotixin disc diffusionOxacillin (also methicillin) resistance is detected by finding the presence of mec A gene."Cefoxitin disc diffusion has been reported to more occurately predict mec A gene presence than oxacillin disc diffusion."The use of cefoxitin MIC test has not been recommended by the CLSI-AST (Clinical and Laboratory Standards Institute), but its presence is equivalent to cefoxitin disc diffusion.